A 60-year-old male presented with acute chest pain of 4 hours duration. Electrocardiographic examination revealed new Q wave with ST-segment depression. He succumbed to his illness within 24 hours of admission. The heart revealed the presence of a transmural hemorrhagic area over the septum and anterior wall of the left ventricle. The light microscopic examination is most likely to reveal -
1. Edema in between normal myofibres
2. Necrotic myofibres with the presence of neutrophils
3. Coagulative necrosis of the myocytes with presence of granulation tissue
4. Infiltration by histiocytes with haemosiderin laden macrophages

Correct answer: 2. Necrotic myofibres with the presence of neutrophils